Which of the following is the best indicator of longterm nutritional status?
1. Mid arm circumference
2. Height for age
3. Weight for age
4. Weight for height

Correct answer: 2. Height for age

Explanation: Height-for-age (or length-for-age for children <2 yr) is a measure of linear growth, and a deficit represents the cumulative impact of adverse events, usually in the first 1,000 days from conception, that result in stunting, or chronic malnutrition. A low height-for-age typically reflects socioeconomic disadvantage. A low weight-for-height, or wasting, usually indicates acute malnutrition. Conversely, a high weight-for-height indicates overweight. Weight-for-age is the most commonly used index of nutritional status, although a low value has limited clinical significance as it does not differentiate between wasting and stunting. Weight-for-age has the advantage of being somewhat easier to measure than indices that require height measurements. In humanitarian emergencies and some field settings, mid-upper arm circumference is used for screening wasted children . Ref.nelson 20th edition page no 298 nutrition chapter